. Anticoagulant used to estimate glucose from a sample sent from PHC is:
1. EDTA
2. Calcium oxalate
3. Potassium oxalate + NaF
4. Sodium citrate

Correct answer: 3. Potassium oxalate + NaF

Explanation: C i.e. Potassium oxalate + NaF